A 64 year old lady Kamla complains of severe unilateral headache on the right side and blindness for 2 years. On examination there is a thick cord like structure on the lateral side of the head. The ESR is 80 mm/hr in the first hour. The most likely diagnosis is -
1. Temporal arteritis
2. Migraine
3. Cluster headache
4. Sinusitis

Correct answer: 1. Temporal arteritis